Gluten free diet is beneficial in -
1. Psoriasis
2. Exfoliative dermatitis
3. Dermatitis herpetiformis
4. Pemphigoid

Correct answer: 3. Dermatitis herpetiformis

Explanation: DERMATITIS HERPETIFORMIS Chronic intensely pruritic vesiculobullous disorder. Site- extremities and trunk Clinical features:- Intense episodic pruritus. Skin lesions- erythematous papules which rapidly turn into tiny firm grouped vesicles Vesicle rupture and crusted excoriated lesions seen. Disease worsens on dietary intake of gluten namely wheat barley and rye. Gluten sensitive enteropathy occurs in almost DH Cases. Usually it is asymptomatic, some show symptoms of malabsorption. So Gluten free diet is essential for DH Patients. {Reference: IADVL textbook of dermatology, vishalakshi Vishwanath pg no.285}